The amino acid residue having an imino side chain is:
1. Lysine
2. Histidine
3. Tyrosine
4. Proline

Correct answer: 4. Proline